Puerperal pyrexia is fever for 24 hours or more after child birth if temperature is more than :
1. 99' F
2. 99.5deg F
3. 100deg F
4. 100.4deg F

Correct answer: 4. 100.4deg F

Explanation: 100.4deg F